One of the following group of fibers in the lamina propria of the gingiva, help to bind the free gingiva to the tooth
1. Alveologingival
2. Circular
3. Dentoperiosteal
4. Dentogingival

Correct answer: 2. Circular